Carcinoma cervix is associated with all except :
1. Multipay
2. Herpes simplex virus
3. Early coitus
4. Diabetes mellitus

Correct answer: 4. Diabetes mellitus

Explanation: Diabetes mellitus